In well fed state, the activity of Carnitine Palmitoyl Transferase-1 in outer mitochondrial membrane is inhibited by:
1. Glucose
2. Acetyl-CoA
3. Malonyl-CoA
4. Pyruvate

Correct answer: 3. Malonyl-CoA

Explanation: Ans. C. Malonyl-CoA(Ref Harper 31/e page 214)Fatty acid oxidation is inhibited in the well fed state because, CPT-I activity is low in fed state because of inhibition by malonyl-CoA, the initial intermediate in fatty acid synthesis formed by acetyl-CoA carboxylase.